Post coital test showing non motile sperms in the cervical smear and Motile sperms from the posterior fornix suggests:
1. Faulty coital practice
2. Immunological defect
3. Hypospadias
4. Azoospermia

Correct answer: 2. Immunological defect

Explanation: Post coital test showing non motile sperms in the cervical smear and motile sperms in the posterior forix suggest that the sperms are normal and motile when they reach forenix. After that in cervix they become inmotile, i.e antisperm artibodies are present in the cervix, i.e imunlogical defect seen.